Xanthoma disseminatum is associated with:
1. Downs syndrome
2. Diabetes insipidus
3. Lymphoma
4. Ca pancreas

Correct answer: 2. Diabetes insipidus

Explanation: Ans: (b) Diabetes insipidusRef: Goodman WT, Barrett TL, Histiocytoses, In: Bolognia JL, Schaffer JV, Cerroni editors. Dermatology, 4th edition, United States: Elsevier 2018, Page 1614-1632Xanthoma DisseminatumRare, normolipemic, histiocytic proliferative disorder that affects the skin, mucous membranes and frequently, the hypothalamus and pituitary gland, leading to transient diabetes insipidus.Key featuresClassic triad of cutaneous xanthomas, mucous membrane xanthomas and diabetes insipidusSymmetric distribution of lesionsFavors flexural areas and intertriginous zonesCorneal and conjunctival lesions can threaten visionDermatological findings in Down syndrome:Atopic dermatitisSeborrheic dermatitisAlopecia areataVitiligoMilia-like calcinosis cutisSyringomasElastosis perforans serpiginosa